Acute pseudomembranous candidiasis is, all except:
1. Oral thrush
2. Commonly occurs in immunocompromised patients
3. May be associated with denture stomatitis
4. Occurs in patients receiving systemic corticosteroid therapy

Correct answer: 3. May be associated with denture stomatitis

Explanation: Pseudomembranous Candidiasis: It is also known as thrush and is one of the most common forms of the candidiasis. It may occur at any age, but is especially prone to occur in the debilitated or chronically ill patients or in infants. The occurrence of this lesion in a healthy individual indicates the presence of immune suppression, especially HIV infection. It also occurs in patients receiving systemic corticosteroid therapy.
Ref: Shafer's textbook of oral pathology 7th edition page 372